When a posterior occlusal amalgam makes multiple
contacts with an occluding tooth surface, behaves as though it is in:
1. Flexion
2. Compression
3. Shear
4. Diametral compression

Correct answer: 1. Flexion